M3 Receptor antagonist used in the treatment of bladder over activity is:
1. Tamsulosin
2. Desmopressin
3. Doxazosin
4. Darifenacin

Correct answer: 4. Darifenacin

Explanation: Ans: d (Darifenacin) Ref:Campbells urology, 9th ed,p. 2093Darifenacin is a relatively selective M muscarinic receptor antagonist used in bladder overactivity.The other anti muscarinic agents used are:TolterodineTrospiumSolifenacinPropanthelineAtropineHyocyanine